All the following are risk factors for fetal overgrowth except
1. Obesity
2. Diabetes
3. Primiparity
4. Previous macrosomic infant

Correct answer: 3. Primiparity

Explanation: Risk Factors for Fetal OvergrowthObesityDiabetesPostterm gestationMultiparityLarge size of parentsAdvancing maternal agePrevious macrosomic infantRacial and ethnic factorsReference: William's Obstetrics; 25th edition; Chapter 44; Fetal-Growth Disorders